All The following are true statements except?
1. MRI is preferred investigation in evaluating superior sulcus tumors
2. CECT is preferred in evaluating patients with abdominal trauma
3. Spiral Ct with contrast is preferred modality in evaluating patients with Head Trauma
4. MRI is preferred modality for evaluating posterior mediastinal masses

Correct answer: 3. Spiral Ct with contrast is preferred modality in evaluating patients with Head Trauma

Explanation: *IOC for Head Trauma is NCCT *IOC for Abdominal Trauma Is CECT, Initial Investigation is FAST.